Anterolateral arthroscopy of knee is for:
1. To see patellofemoral articulation
2. To see the posterior cruciate ligament
3. To see the anterior portion of lateral meniscus
4. To see the periphery of the posterior horn of medial meniscus

Correct answer: 1. To see patellofemoral articulation

Explanation: Standard portals in knee arthroscopy Anterolateral portal Almost all the structures within the knee joint can be seen except- posterior cruciate ligament anterior portion of the lateral meniscus periphery of the posterior horn of the medial meniscus in tight knees. Anteromedial portal Additional viewing of lateral compartment Posteromedial portal Used for viewing the posteromedial structures For repair or removal of the displaced posterior horn of meniscal tears Superolateral portal Used for diagnostically viewing the dynamics of patella-femoral joint, excision of medial plica.